Sodium 2-mercapto ethane sulfonate (mesna) is used as a protective agent in -
1. Radiotherapy
2. Cancer chemotherapy
3. Lithotripsy
4. Hepatic encephalopathy

Correct answer: 2. Cancer chemotherapy

Explanation: Ans. is 'b' i.e., Cancer chemotherapy o Mesna is used to block the cystitis caused by Cyclophosphamide and Ifophosphamide. o Note -- Acetylcysteine can also be used for this purpose. Folinic acid AllopurinolLithium carbonate Ondensetron Other drugs used for toxicity amelioration in cancer therapy For preventing methotrexate toxicity To prevent hyperuricemia caused by rapid destruction of cells during cancer chemotherapy It has stimulant effect on bone marrow, so used during myelosuppresive drug therapy. For controlling cytotoxic drug induced vomiting.